Smallest cestode among the following;
1. H. nana
2. Schistosoma
3. T. saginata
4. T. Solium

Correct answer: 1. H. nana

Explanation: Cestodesare Long, Segmented, dorso-ventrally flattened tape-like worms There are 3 regions in an adult worm: - Head: Scolex - Neck - Strobila: consist of a series of segment called proglottids Adult worms are found in thehuman intestines Smallest cestode:Hymenolepis nana Longest cestode:Diphyllobothrium latum